All are true about hypertrophic obstructive cardiomypathy except-
1. Asymmertric hypertrophy of septum
2. Systolic motion of anterior leaflet
3. Left ventricle outflow obstruction
4. Beta blockers are not effective

Correct answer: 4. Beta blockers are not effective

Explanation: Ref:Harrison's 19th ERT pg 1568. Beta-blockers are the drug of choice for HOCM. Decreasing the contractility of heart prevents the hypertrophied septum coming in contact with the anterior leaflet of the mitral Valve. Hence reducing the obstruction.